Nicoladoni sign is also known as -
1. Branham sign
2. Murray sign
3. Frei's sign
4. Darrier's sign

Correct answer: 1. Branham sign